Voyeurism is punished under
1. 354 A IPC
2. 354 B IPC
3. 354 C IPC
4. 354 D IPC

Correct answer: 3. 354 C IPC

Explanation: Refer the byte "Legal sections".